EEG changes are useful in diagnosis of which of the following dementias
1. Alzheimer's
2. Pick's Dementia
3. Prion associated dementia
4. Vascular dementia

Correct answer: 3. Prion associated dementia

Explanation: CJD's are have characteristic spike patterns on EEG